All of the following are pathological features associated with Crohn's disease except:
1. Skip lesions
2. Non caseating granulomas
3. Cobblestone appearance
4. Toxic megacolon

Correct answer: 4. Toxic megacolon

Explanation: Ans: D i.e. Toxic megacolonInflammatory bowel diseasePresence of multiple, separate, sharply delineated areas of disease, resulting in skip lesions, is characteristic of Crohn's disease and may help in differentiation from ulcerative colitisNon-caseating granuloma, a hallmark of Crohn disease, are found in approximately 35% of casesSparing of interspersed mucosa, a result of the patchy distribution of Crohn disease, results in coarsely textured, cobblestone appearance in which the diseased tissue is depressed below the level of mucosaIn Ulcerative colitis, inflammation and inflammatory mediators can damage the muscularis propria and disturb neuromuscular function leading to a colonic dilatation and toxic megacolon, which carries a significant risk of perforation